Most common cancer of anus?
1. Squamous
2. Basaloid
3. Cuboidal
4. Cloacogenic

Correct answer: 1. Squamous

Explanation: Ans. (a) SquamousRef.: Bailey & Love 26th ed. /1267